Thayer martin agar medium is for:
1. N. Meningitis
2. Pseudomonas
3. Clostridium
4. Trypanoma pallidum

Correct answer: 1. N. Meningitis

Explanation: Ans. (a) N. Meningitis \Ref: Microbiology by Ananthanarayan and Paniker 8th ed. / 225., 227* Thayer martin medium is selective medium for N. Meningitis.